Which of these is false for episiotomy?
1. Frank breech delivery should be preceded by a generous episiotomy
2. Perineal was increase the risk of episiotomy breakdown
3. Routine episiotomy does not reduce risk of rectal injury
4. Episiotomy should be routinely given in all primigravidas

Correct answer: 4. Episiotomy should be routinely given in all primigravidas

Explanation: Episiotomy should not be performed routinely. THERE IS NO RULE HERE EXCEPT FOR CLINICAL JUDGEMENT However common indications are: Shoulder dystocia breech delivery forceps or ventouse deliveries occipito-posterior positions instances where it is obvious that failure to perform an episiotomy will result in perineal rupture